According to National Health Policy 2002, which of the following is to be eliminated in 2015-
1. Malaria
2. Yaws
3. Leprosy
4. Filariasis

Correct answer: 4. Filariasis

Explanation: the goals of National Health Policy of India-2002 includes; - Eliminate Lymphatic Filariasis by year 2015 Reference : Park's textbook of preventive and social medicine, 23rd edition, pg no:873